During an epidemic of hepatitis E, Fatality is maximum in
1. Infants
2. Adolescents
3. Pregnant women
4. Malnourished male

Correct answer: 3. Pregnant women